An intern was doing saphenous cannulation for a bum patient. Then the patient developed sudden onset of pain along the medial border of the corresponding foot. Which nerve must have beenaccidentally ligated-
1. Sural nerve
2. Deep peroneal nerve
3. Saphenous nerve
4. Genicular nerve

Correct answer: 3. Saphenous nerve

Explanation: Sensory supply of medial border of foot is saphenous nerve.